The most significant adverse effect of ACE inhibition is
1. Hypotension
2. Hypertension
3. Hypocalcemia
4. Hypercalcemia

Correct answer: 1. Hypotension

Explanation: On initiation of therapy ACE inhibitors may cause significant hypotension -first dose phenomenon. Hence treatment should be started with small doses and if patients are on diuretic it is temporarily stopped. Hyperkalemia is another side effect. Ref: KD tripathi 8th ed Page no 129